Hydatid cyst is caused by
1. Clonorchis sinensis
2. Wuchereria bancrofti
3. Echinococcus granulosus
4. Ascaris lumbricoides

Correct answer: 3. Echinococcus granulosus

Explanation: Hydatid disease is caused by Echinococcus granulosus or dog tapeworm. The dog is the definitive host and man, sheep, pig, cattle, horse, and goat act as intermediate host. The disease is characterised by hydatid cyst which involves liver, lung, brain, heart, kidney, spleen, bone, muscle. Ref: Baveja textbook of microbiology; 4th edition.